True regarding Milroy's disease is all except
1. Autosomal dominant
2. Unilateral upper and lower limbs involved
3. Face may be involved
4. Congenital Lymphoedema

Correct answer: 2. Unilateral upper and lower limbs involved

Explanation: In Milroy's disease, bilateral upper and lower limbs affected.